Oral anticoagulant which inhibit thrombin directly-
1. Dabigatran
2. Dicumarol
3. Warfarin
4. Rivaroxaban

Correct answer: 1. Dabigatran

Explanation: Ans. is 'a' i.e., Dabigatran Parentral direct thrombin inhibitors o Argatrobano Hirudino Bivalirudino Lepirudino Melagatran o Desirudin Oral direct thrombin inhibitors o Dabigatran (recent)o Ximelagatran (withdrawn)